Louse born typhus fever -
1. Scrub typhus
2. Rickettsialpox
3. Epidemic typhus
4. Endemic typhus

Correct answer: 3. Epidemic typhus

Explanation: Ans. is 'c' i.e., Epidemic typhus